Methenamine salts are used as urinary antiseptics. The reason they lack systemic antibacterial action is that they are :
1. Not absorbed into systemic circulation after oral use
2. Rapidly metabolized by liver drug metabolizing enzymes
3. Converted to formaldehyde at low urinary pH
4. Substrates for active tubular secretion

Correct answer: 3. Converted to formaldehyde at low urinary pH